In aphakia, Purkinje fibres absent are
1. 1 and 3
2. 2 and 4
3. 2 and 3
4. 3 and 4

Correct answer: 4. 3 and 4

Explanation: Purkinje images test. This test does not have much significance and thus is not frequently employed in clinical practice. Normally, when a strong beam of light is shown to the eye, fpur images(Purkinje images) are formed from the four different reflecting surfaces viz. anterior and posterior surfaces of cornea and anterior and posterior surface of lens. In patients with mature cataract, fourth image (formed by posterior surface of the lens) is absent i.e., three Purkinje images are formed. In aphakia, third and fourth Purkinje images ( formed by anterior and posterior surface of lens) are absent, i.e., only two images are formed. Ref;A.K.Khurana; 6th edition; Page no: 506